In LAHSHAL terminology for cleft lip & cleft palate, LAHSHAL denotes
1. Bilateral cleft palate only
2. Bilateral cleft lip only
3. Bilateral cleft lip & palate
4. No cleft

Correct answer: 3. Bilateral cleft lip & palate

Explanation: Ref: Bailey and love 27th edition Pgno :637 LAHSAL system of Classification LAHSAL system is a diagrammatic classification of cleft lip & cleft palate In this classification system, mouth is divided into 6 parts. I.e., LAHSAL Right Lip; right Alveolus ; Hard palate ; Soft palate ; Left Alveolus ; Left lip First character is for patients right lip & last character for patients left lip Complete cleft is indicated with a capital letter & an incomplete cleft with small letter No cleft is represented with a dot Examples of LAHSAL system of Classification Bilateral complete cleft lip & palate LAHSAL Left complete cleft lip ..... L Right Incomplete cleft lip & Alveolus la.... Incomplete hard palate, complete soft palate defect .. hS..